The fingerprint pattern showing two or more delta is
1. Loop
2. Plain arch
3. Tented arch
4. Whorls

Correct answer: 4. Whorls

Explanation: DELTA: The point on a ridge at or in front of and nearest the center of the divergence of the type lines. The delta area is located as a triangular area where the ridges radiate outward in three directions. CORE:Core is the central portion of the pattern. Basic pattern Pattern type No of delta Loop Radial Ulnar One One Arch Plain Tented Nil One Whorls Plain Two Accidentals Two or more